In basal body temperature method, after the rise of temperature, the unsafe period lasts for :-
1. 24 hours
2. 48 hours
3. 72 hours
4. 120 hours

Correct answer: 3. 72 hours

Explanation: - In BBT, the rise of temperature signifies ovulation. - Since maximum survival of ovum post ovulation is 3 days, the unsafe period is 3 days post rise of body temperature. Other natural methods of contraception are: Calender method / fertile period method/ safe period method/ rhythm method Cervical mucus method Symptothermic method Coitus interruptus Abstinence - most effective method